An IgG2 molecule is composed of?
1. One gamma1 chain and two kappa chains
2. Two gamma1 chains and one kappa and one lambda chain
3. Two gamma1 chains and two kappa chains
4. Two gamma2 chains and two kappa chains

Correct answer: 4. Two gamma2 chains and two kappa chains

Explanation: A single antibody molecule is made up of two heavy and two light chains As a rule both heavy and both light chains are identical IgG2 has two gamma2 heavy chains and two light chains (both kappa or both lambda).